The commonest anterior mediastinal tumour is
1. Aneurysm of descending aorta
2. Neurogenic tumour
3. Thymoma
4. Bronchogenic cyst

Correct answer: 3. Thymoma

Explanation: Thymomas are the most common anterosuperior mediastinal tumors accounting for 25% of the total.They are commonly associated with myasthenia gravis.Diagnosis and treatment is best achieved by complete thymectomy. Reference:SRB's manual of surgery,5th edition,page no:1127.